DOC for a pregnant woman in 2nd trimester with pustular psoriasis is -
1. Prednisolone
2. Dapsone
3. Acitretin
4. Methotrexate

Correct answer: 1. Prednisolone

Explanation: systemic corticosteroids- contraindicated in psoriasis as they cause flareup of disease on cessation of therapy only indication of systemic corticosteroids is erythrodermic psoriasis , generalised pustular psoriasis and pustular psoriasis of pregnancy(impetigo herpetiformis). they are life saving in acute types. other drug that is used in pustular psoriasis of pregnancy is cyclosporine. IADVL textbook of dermatology, page1054.